A 6-year-old boy is admitted to the hospital with high fever and pain over the parotid gland. A diagnosis of parotiditis (mumps) is established, and the boy is sent back home. Which of the following nerves is responsible for painful sensations from the region of the parotid gland?
1. Facial
2. Auriculotemporal
3. Lesser petrosal
4. Lingual

Correct answer: 2. Auriculotemporal

Explanation: (b) Source: GAS 864, 867-868, 874, 875; GA 455, 483-485 The auriculotemporal nerve leads into the parotid gland, and its compression in mumps can be associated with severe pain. The compressive effects are due in large part to the continuity of the facial capsule of the parotid gland with the tough layer of superficial investing fascia of the neck, a layer that is almost non-distensible. When the gland swells, sensory fibers for pain are triggered rapidly, and can be referred to the ear. None of the other nerves listed supply the parotid gland.